Regarding Lichen Planus all are true, except :
1. Hypopigmentation in most residual disease
2. Lymphatic infiltration in supradermal layer
3. Itchy polygonal, purple papule
4. Skin, hair and oral mucosa commonly involved

Correct answer: 1. Hypopigmentation in most residual disease

Explanation: A. i.e. Hypopigmentation in residual disease